Tevdek sutures used for endodontic microsurgeries are removed after?
1. 48-72 hours
2. 72-96 hours
3. 7 days
4. 10 days

Correct answer: 1. 48-72 hours